Variable which can be controlled or manipulated:
1. Independent
2. Dependent
3. Discrete
4. Parameter

Correct answer: 1. Independent